Bull's eye retinopathy is seen with
1. Chloroquine
2. Methanol
3. Ethambutol
4. Steroids

Correct answer: 1. Chloroquine